Leber's optic neuropathy-
1. Typically presents in the fourth decade of life
2. Males do not transmit the disease
3. Is inherited in autosomal X-link fashion
4. The optic disc is pale early in the disease

Correct answer: 2. Males do not transmit the disease

Explanation: Leber's hereditary optic neuropathy is a mitochondrial disorder. Since mitochondrial DNA is exclusively derived from mothers, males do not transmit the disease.
The optic disc becomes pale and atrophic in late atrophic phase (not early).